In a patient with ectopic tubal pregnancy which is the earliest to rupture?
1. Interstitial
2. Isthmus
3. Ampulla
4. Infundibulum

Correct answer: 2. Isthmus

Explanation: Fate of Ectopic pregnancy - 1. Tubal abortion M/C site is ampulla 2nd M/C site is infundibulum 2. Rupture of the tube M/C site is Isthmus (4-6 weeks) Longest survival - interstitium (12 weeks)